Lunate sulcus is present in
1. Frontal lobe
2. Parietal lobe
3. Temporal lobe
4. Occipital lobe

Correct answer: 4. Occipital lobe

Explanation: The occipital lobe sulciA. Transverse occipital B. Lateral occipital C. Lunate D. Superior and inferior polarReference: Chaurasia; 6th edition; 417 page